Which of the following benign tumor can be caused by prolonged use of oral contraceptive pills?
1. Hepatic adenoma
2. Thyroid adenoma
3. Fibroadenoma
4. Myoma

Correct answer: 1. Hepatic adenoma

Explanation: Adenomas have been reported with prolonged use of OC pills and though they are benign, rupture of a hepatoma can be fatal. Because the hormones are metabolized in the liver, chronic liver diseases and recent jaundice contraindicate the use of pills. Also, Gall bladder function may be adversely affected. Gall stones are reported with OCP use, but not Gall bladder carcinoma